Surfactants are synthesized by-
1. Type 1 cells
2. Type-2 cells
3. Epithelial cells
4. Endothelial cells

Correct answer: 2. Type-2 cells

Explanation: Ans. is 'b' i.e., Type-2 cells * Surfactant is produced by type II pneumocytes.